Which of the following is diagnostic for juvenile idiopathic arthritis (JIA)?
1. Anti-nuclear antibody
2. ESR
3. Rheumatoid factor
4. clinical diagnosis without any diagnostic labortory tests

Correct answer: 4. clinical diagnosis without any diagnostic labortory tests

Explanation: Juvenile Idiopathic arthritis (JIA) is a clinical diagnosis without any diagnostic labortory tests. The meticulous clinical exclusion of other diseases and many mimicking conditions is , therefore essential. Laboratory studies, including tests for ANA and RF, are only supportive or prognostic, and their results may be normal in patients with JIA. Ref: Nelson textbook of pediatrics 21st edition Pgno: 1263